Alpha fetoprotein levels are increased in all EXCEPT:
1. Open neural tube defects
2. Twin pregnancy
3. Intrauterine death
4. Down syndrome

Correct answer: 4. Down syndrome

Explanation: AFP is measured in pregnant women through the analysis of maternal blood or amniotic fluid,
as a screening test for a subset of developmental abnormalities: it is principally increased in open neural tube defects and omphalocele and is decreased in Down syndrome.